Which cooking oil hast most PUFA
1. Safflower oil
2. Coconut oil
3. Butter
4. Vanaspati

Correct answer: 1. Safflower oil

Explanation: Ans. is 'a' i.e., Safflower oil Approximate fatty, acid composition of dietary fats and oils consumed in India (`)/0 of total fatty acids) Fats/oils SFAs MUFAs LA ALA High (medium chain) SFAs Coconut 92 6 2 Palm kernel 83 15 2 Butter/Ghee 68 29 2 1 High SFA & MUFAs Palmolein 39 46 11 <0.5 High MUFAs & Moderate LA Groundnut 19 41 32 <0.5 Rice bran 17 43 38 1 Sesame 16 41 42 <0.5